All of the following are coverings of a mature graffian follicle, except ?
1. Theca externa
2. Theca interna
3. Germinal cells
4. Granulosa cells

Correct answer: 3. Germinal cells

Explanation: Coverings of the mature or graffian follicle are (From inner to outer) * Innermost layer is the the granulosa cells* The theca interna* The theca externa